In an inflamatory response, which of the following are involved in the recognition of the microbes or damaged cells?
1. Toll-like receptors
2. NOD-Like receptors
3. Mannose-binding lectin protien
4. All of the above

Correct answer: 4. All of the above

Explanation: Pattern recognition receptors are located in all the cellular compartments where pathogens may be present: plasma membrane receptors detect extracellular pathogens, endosomal receptors detect ingested microbes, and cytosolic receptors detect microbes in the cytoplasm.
Several classes of these receptors have been identified:

Toll-Like Receptors
NOD-Like Receptors and the Inflammasome
Other Receptors for Microbial Products: C-type lectin receptors (CLRs), RIG- like receptors, Mannose receptors.

Reference-Robbins BASIC PATHOLOGY 10th edition pg-122,123